A knownHIV positive patient is admitted in anisolation ward after an abdominal surgery followingan accident. The resident docter who changed hisdressing the next day found it to be soaked in blood hich of the following would be the right method ofchoice of descarding the dressing -
1. Pour 1% hypochloric on the dressing materialand send it for incineration in a appropriate bag
2. Pour 5% hypochlorite on the dressing materialand send it for incineration in a appropriate bag
3. Put the dressing material directly in anappropriate bag and send for incineration
4. Pour2% Lysol on the dressing material and sendit for incineration in a appropriate bag

Correct answer: 3. Put the dressing material directly in anappropriate bag and send for incineration

Explanation: Ans. is 'c' i.e., Put the dressing material directly in an appropriate bag and send for incineration o This waste category lies in category No. 6 o No.6 category of solid wastes consists of : Items contaminated with blood and fluid containing u Cotton dressings Soiled plaster casts o Linen o Beddings Other materials contaminated with blood o Treatment and disposal of this category of wastes o Incineration (There will be no chemical pretreatment prior to incineration) Autoclaving/microwaving